The most common genetic cause of liver disease in children is –
1. Haemochromatosis
2. α1  antitrypsin deficiency
3. Cystic fibrosis
4. Glyocgen storage disease

Correct answer: 2. α1  antitrypsin deficiency

Explanation: Amongst the given options al antitrypsin deficiency is the best answer because neonatal hepatitis and extrahepatic biliary atresia are not there.